First finger loop bureau was established in :
1. London
2. Paris
3. Calcutta
4. Madras

Correct answer: 3. Calcutta

Explanation: C i.e. Calcutta